Complications of Vincent's angina is:
1. Actinomycosis
2. Noma
3. Systemic candidiasis
4. CeLlulites

Correct answer: 2. Noma